Clitoromegaly is defined if clitoris is:
1. >=5 mm
2. >=7 mm
3. >10 mm
4. 15 mm

Correct answer: 3. >10 mm

Explanation: Ans. is c, i.e. >10mmClitoromegaly is defined as clitoris >10mm is size or clitoral index (length multiplied width) greater than 35mmNote: Normal length =5.0+-1.4mm